Epidemic hemorrhagic conjunctivitis is caused by:
1. HSV
2. HZV
3. HIV
4. Picornavirus

Correct answer: 4. Picornavirus

Explanation: Ans. is 'd' i.e., Picornavirus style="font-size: 1.04761904761905em; font-family: Times New Roman, Times, serif">Reference: Acute hemorrhagic conjunctivitis (AHC) is an epidemic form of highly contagious conjunctivitis and is characterized by sudden onset of painful, swollen, red eyes, with conjunctival hemorrhaging and excessive tearing. AHC typically is caused by one of two enteroviruses (Coxsackie A24 or Enterovirus 70). This disease is transmitted person to person usually through contact with contaminated hands or through sharing of contaminated personal care items. No specific treatment is available for AHC; however, the illness is self limiting, and severe complications are rare. Nonetheless, because of its extremely contagious nature, AHC can disrupt the local economy and require substantial health care resources.